The largest compliance in the circulatory system is of
1. Arteries
2. Capillaries
3. Veins
4. Aorta

Correct answer: 3. Veins

Explanation: The largest compliance in the circulatory system is of veins. Vascular compliance/capacitance is the total quantity of blood that can be stored in a given portion of the circulation for each mmHg pressure rise. vascular compliance= Distensibility * Volume The compliance of a systemic vein is about 24 times that of its corresponding artery because it is about 8 times as distensible and has a volume about 3 times as artery (8*3=24) Ref: Guyton and Hall 13th edition Pgno: 179